Female pseudohermaphoism true is :
1. 46XX chromosomal pattern
2. Absent ovary
3. Absent uterus
4. Presence of testis

Correct answer: 1. 46XX chromosomal pattern

Explanation: 46XX chromosomal pattern In a female most common cause of ambiguous sex is congenital adrenal hyperplasia. Intact cases of ambiguity of sex, detected at birth are due to adrenogenital syndrome (congenital adrenal hyperplasia) unless proved otherwise. Congenital adrenal hyperplasia (Very Imp.): It is an Autosomal Recessivedeg disorder (if any couple has had one affected child, subsequent baby has 1 in 4 chance of having the same disability).deg